Conditions predisposing to leukemia include all except-
1. Ionising radiation
2. Myelofibrosis
3. Inflectious mononucleosis
4. Polycythemia vera

Correct answer: 3. Inflectious mononucleosis

Explanation: Ans. is 'c' i.e., Inflections mononucleosis Conditions predisposing to acute leukemias o Myelodysplastic syndrome o Ataxia telangiectasia o Chronic myeloproliferative disorders o Down syndrome o Iosnizing radiation and certain toxic chemicals. o Klinefelter's syndrome o Bloom syndrome o Neurofibromatosis o Fanconi anemia